ACTH level is highest during:
1. Early morning
2. Evening
3. Afternoon
4. Night

Correct answer: 1. Early morning

Explanation: A i.e. Early morningACTH level is highest during early morningQ. About 75% of daily output occurs between 4 AM and 10 AM.Secretion is least in the evening. The biological clock responsible for diurnal variation of ACTH is located in suprachiasmatic nuclei of hypothalamusQ.